12 years old male presented with intensely itchy grouped vesicles on buttock, trunk and scalp. On exposure to wheat they exaggerate. Diagnosis is -
1. Herpes simplex
2. Dermatitis herpetiformis
3. Pemphigus vulgaris
4. Bullous impetigo

Correct answer: 2. Dermatitis herpetiformis

Explanation: Ans is 'b' i.e. Dermatitis herpetiformis o Among given options only dermatitis herpetiformis is a gluten sensitivity disorder and aggravates on on eating gluten (wheat, rye, barley).Other features in favour of diagnosis areo Intense itching (characteristic feature)o Distribution of lesion - buttock, trunk and scalpo Age group - DH is commonly seen in 2nd to 3rd decade.o Has been explained in previous sessions.